Warthin Finkeldey giant cells are seen in?
1. Tuberculosis
2. Sarcoidosis
3. Herpes
4. Measles

Correct answer: 4. Measles

Explanation: Ans. is 'd' i.e., Measles o Warthin-Finkeldey cell is a type of giant multinucleate cell found in hyperplastic lymph nodes early in the course of measles.Also found ino HIV-infectiono Kimura disease,o lymphoma and non-neoplastic lymph node disorders.